Patients with atrial fibrillation have
1. Regular irregular pulse
2. Irregularly irregular pulse
3. Anacrotic pulse
4. Pulsus alternans

Correct answer: 2. Irregularly irregular pulse